A new born girl not passed meconium for 48 hrs, has abdominal distention and vomiting, Initial investigation of choice would be
1. Manometry
2. Genotyping for cystic fibrosis
3. Lower GI contrast study
4. Serum trypsin immunoblot

Correct answer: 3. Lower GI contrast study

Explanation: bowel obstruction with an absent caecal gas shadow in ileocolic cases. A soft tissue opacity is often visible in children. A barium enema may be used to diagnose the presence of an ileocolic intussusception (the claw sign) Ref: Bailey & Love's Short Practice of Surgery,E25,Page-1196